Reactivated TB is most commonly located near:
1. Apex
2. Near bronchus
3. Subpleurally
4. Base

Correct answer: 1. Apex

Explanation: Secondary pulmonary tuberculosis classically involves the apex of the upper lobes of one or both lungs The reason is not known but may relate to high oxygen tension in the apices